A neonate presents with colicky pain and vomiting with sausage -shaped lump in the abdomen, Diagnosis is
1. Enterocolitis
2. Perforation of the abdomen
3. Intussusception
4. Acute appendicitis

Correct answer: 3. Intussusception

Explanation: C. i.e. (Intussusception) (80-B & L 25th)INTUSSUSCEPTION* Typically causes a strangulating bowel obstruction, which can progress to gangrene and perforation* Commonest site is ileocolic** (80%)* Majority of affected infants - intussusception is caused by (Hypertrophy of Peyer's patches) hyperplasia of gut lymphoid tissue*** Either sex, peak incidence is between 5 and 10 months of age* Classically presents with colicky pain and vomiting (milk then bile)* ** "Red current Jelly" stool* Clinical sign include - dehydration, abdominal distension and a palpable sausage shaped mass in the right upper quadrant* PR examination may reveal blood or rarely the apex of an intussusceptum* Most intussusceptions can be reduced non- operatively using an air or barium enema* Most common cause of intestinal obstruction in a neonate is intussusception** Barium enema shows pincer-shaped or colied spring deformity or pitch fork sign" (1007 S. Das 5th)* Hirschsprong's disease is best diagnosed by - full thickness rectal biopsy**